Which of the following cause non-cicatracial alopecia ?
1. Tenia capitis
2. SLE
3. Alopecia areata
4. All of the above

Correct answer: 4. All of the above

Explanation: Ans. is 'd' i.e., All of the above